Which of the following vitamin deficiencies is uncommon in celiac disease
1. Vitamin D
2. Folic Acid
3. Vitamin A
4. Vitamin B12

Correct answer: 4. Vitamin B12

Explanation: Ans. is `d' i.e., Vitamin B12 'Vitamin B is absorbed from the body in the end part of small intestine (terminal ileum). Because this part of the bowel is seldom damaged - by celiac disease, Vitamin Bit deficiency is not common in this condition'